A competitive antagonist is a substance that
1. Interacts with receptors and produces submaximal effect
2. Binds to the same receptor site and progressively inhibits the agonist response
3. Binds to the nonspecific sites of tissue
4. Binds to one receptor subtype as an agonist and to another as an antagonist

Correct answer: 2. Binds to the same receptor site and progressively inhibits the agonist response

Explanation: In the presence of a fixed concentration of agonist, increasing concentrations of a competitive antagonist progressively inhibit the agonist responseBasic and clinical pharmacology Katzung 13th edition pg 23